Sulfonamide useful in treating ulcerative colitis is ?
1. Sulfadiazine
2. Sulfasalazine
3. Sulfamethoxazole
4. Sulfadimidine

Correct answer: 2. Sulfasalazine

Explanation: Ans. is 'b' i.e., Sulfasalazine